All the following statements about Thyroid carcinoma are true, except:
1. Thyroid lymphoma is often associated with hashimoto's thyroiditis
2. Papillary ca is multifocal
3. Medullary ca is associated with MEN2a
4. Follicular carcinoma spreads mainly by lymphatic

Correct answer: 4. Follicular carcinoma spreads mainly by lymphatic

Explanation: Major spread of follicular carcinoma is through blood, papillary carcinoma through lymphatics. Ref: Harrison's, 18th Edition, Page 2436